A middle aged female presents with increasing visual loss, breast enlargement and irregular menses. Investigation of choice would be :
1. S. calcitonin
2. S. prolactin
3. S. hemoglobin concentration
4. S. calcium

Correct answer: 2. S. prolactin

Explanation: Ans. is b i.e. Serum prolactin A middle aged female is presenting with : Increasing visual lossdeg Breast enlargementdeg Irregular mensesdeg All these features can be explained by pituitary adenoma. Most common type of pituitary adenomas are prolactinomas. Prolactinoma cause Endocrine effects Galactorrhea (causing breast enlargementf Irregular menses Amenorrheadeg Infeilitydeg Impotencedeg Mass effects CNS compressiondeg causing Headache Visual field defectsdeg (by compressing optic chiasma as it lies anterior and superior to the pituitary)deg Most common visual defect is bitemporal hemianopiadeg Prolactinoma can be diagnosed by raised serum prolactin levels so, the investigation of choice here is serum prolactin level.